Which of the following statements about vaccines is NOT TRUE?
1. Thiomersal is preservative in DPT vaccine
2. Magnesium chloride is stabilizer used in OPV
3. Kanamycin is preservative in measles
4. Neomycin is preservative in BCG vaccine

Correct answer: 4. Neomycin is preservative in BCG vaccine

Explanation: BCG vaccine contains a live attenuated strain derived from Mycobacterium bovis. It does not contain thiomersal or any other preservatives. It contains live organisms that have been attenuated. Traces of antibiotics like neomycin is used as a preservative in varicella, polio virus (IPV), MMR vaccines. Ref: Immunisation Against Infectious Diseases edited by David M. Salisbury, Mary Ramsay, Karen Noakes, 2006, Page 394.